Locked in state is associated with ?
1. Medulla
2. Pons
3. Midbrain
4. Spinal cord

Correct answer: 2. Pons

Explanation: Ans. is 'b' i.e., Pons Locked in syndrome is caused by an insult to ventral pons (basis pontis). It is characterized by inability to speak and quadriplagia. There is complete paralysis of all voluntary muscles except for the eyes. The lesion essentially interrupts coicobulbars and corticospinal pathways. Somatosensory and ascending neuronal pathways responsible for arousal and wakfullness remain intact.